A young male develops fever, followed by headache, confusional state, focal seizures and right hemiparesis, the MRI performed shows bilateral frontotemporal hyperintense lesion. The most likely diagnosis is
1. Acute pyogenic meningitis
2. Herpes simplex encephalitis
3. Neurocysticercosis
4. Carcinomatous meningitis

Correct answer: 2. Herpes simplex encephalitis